Becker's nevus is -
1. Epidermal nevus
2. Melanocytic nevus
3. Vascular nevus
4. None

Correct answer: 1. Epidermal nevus

Explanation: Ans. is'a' i.e., Epidermal nevus